Myocutaneous flap includes which tissues?
1. Muscle only
2. Muscle and vascular pedicle
3. Muscle and skin
4. Skin, muscle and vascular pedicle

Correct answer: 4. Skin, muscle and vascular pedicle

Explanation: Axial flap is also known as myocutaneous flap- - It is based on a named vessel. -Provide a reproducible & stable skin or skin-muscle flap including Skin, muscle and vascular pedicle. -Can be used to provide much needed length & bulk. -Axial flap that remains attached to its proximal blood supply & transposed to a defect is known as a pedicled flap.